Clinical features of pyloric stenosis in infants are All / Except
1. Abdominal lump
2. Constipation
3. Weight loss
4. Metabolic acidosis

Correct answer: 4. Metabolic acidosis

Explanation: Ans. is 'd' i.e. metabolic acidosis Metabolic alkalosis, not acidosis is seen in hypertrophic pyloric stenosis due to loss of hydrogen ions in repeated vomiting. As the hypertrophic pyloric stenosis progresses, complete gastric outlet obstruction occurs and not even clear fludis are able to pass. This leads to constipation or passage of small green "starvation" stools. Rapid weight loss is seen if the condition is not detected early and treated.